The antiretroviral drug most commonly associated with nephrolithiasis is
1. Indinavir
2. Zidovudine
3. Tenofovir
4. Efavirenz

Correct answer: 1. Indinavir

Explanation: Side effects of Indinavir- Nephrolithiasis, indirect hyperbilirubinemia, hyperglycemia, fat redistribution, lipid abnormalities. Ref: Sharma and Sharma , Chapter 62 pg : 809